Killian term is used for which of the following polyp
1. Ethmoidal
2. Antrochoanal
3. Tonsillar cyst
4. Tonsillolith

Correct answer: 2. Antrochoanal

Explanation: Ans. B Antrochoanal Ref. Internet search Killian's polyp is the name given to antrochoanal polyp based on Gustain Killians